Congenital varicella zoster infection causes -
1. Microcephaly
2. Limb hypoplasia
3. IUGR
4. All of the above

Correct answer: 4. All of the above

Explanation: Ans. is 'd' i.e., All of the above Congenital varicella syndromeo Congenital varicella syndrome occurs due to mother's infection (maternal varicella zoster) during 1st half of pregnancy before 20 weeks.o The manifestations of congenital varicella syndrome includei) IUGRandLBWii) Cicatrising skin lesions (Cicatrix)iii) Limb hypoplasiaiv) Brain abnormalities Microcephaly, cortical atrophy, dilated ventricles (ventriculomegaly).v) Eye abnormalities Chorioretinitis, microphthalmia, pendular nystagmus.